The most common site for CSF rhinorrhoea is -
1. Ethmoidal sinuses
2. Maxillary sinuses
3. Frontal sinus
4. Tegmen tympani

Correct answer: 1. Ethmoidal sinuses

Explanation: The most common site of traumatic CSF rhinorrhoea is the fracture of that part of the cribriform plate which forms the roof of the ethmoid sinus. (Ref: Cummings, 6th edition, pg no. 804)